Fibroadenoma of the breast are
1. Fixed mass
2. Diffuse mass
3. Multiple duffuse mass
4. Solitary mobile mass

Correct answer: 4. Solitary mobile mass

Explanation: Ans. is 'd' i.e. Solitary mobile mass